Medial Umbilical ligament is a remnant of
1. Distal part of Umbilical artery
2. Distal part of Umbilical vein
3. Proximal part of Umbilical artery
4. Urachus

Correct answer: 1. Distal part of Umbilical artery

Explanation: Medial Umbilical ligament is a remnant of Distal part of Umbilical artery. MedianUmbilical ligament is a remnant of Urachus.